Immunological reaction against transplanted organ is mediated by-
1. B-cells
2. NK cells
3. T-cells
4. Granulocytes

Correct answer: 3. T-cells

Explanation: Reference:Robbins basic pathology 9th edition pg no:137 : Cytotoxic T cell in the grafted tissue cause parenchymal and endothelial cell death.cytokine secreting CD 4+ tell trigger inflammatory reaction